In which of the following types of cardiac arrest is DC counter shock the only definitive treatment?
1. Asystole
2. Electromechanical dissociation
3. Ventricular fibrillation
4. All of the above

Correct answer: 3. Ventricular fibrillation